Tyre sign is seen in: COMEDK
1. Bite mark
2. Anal abuse
3. Buccal coitus
4. Vulvovaginal abuse

Correct answer: 2. Anal abuse

Explanation: Ans. Anal abuse